The etiological agent of Roseola infantum includes
1. CMV
2. EBV
3. Parvovirus
4. Human herpes virus 6

Correct answer: 4. Human herpes virus 6

Explanation: Roseola infantum*A history of 3 days of high-grade fever in an otherwise nontoxic 10-month-old child with a blanchable maculopapular rash on trunk -Roseola.*Mean duration- 6days - so sixth disease/Exanthem subitum.*Nagayama spots-ulcers at the uvulopalatoglossal junction.*DD - Measles, Rubella, Drug allergy.*M/C complication-convulsions / recurrent seizures/temporal lobe epilepsy.*Rx supportive*Severe cases-Ganciclovir/ Foscarnet.(Refer: Nelson's Textbook of Paediatrics, 19thedition, pg no:1117)